A 25 year old patient with cystic fibrosis wants to know about the disease. Which of the following is majorly associated with chronic airway infection in cystic fibrosis?
1. Pseudomonas fluorescens
2. Pseudomonas putida
3. Pseudomonas aeruginosa
4. Burkholderia pseudomallei

Correct answer: 3. Pseudomonas aeruginosa

Explanation: Pseudomonas aeruginosa is the major pathogen associated with chronic airway infection in cystic fibrosis (CF). CF is an autosomal recessive disorder, caused by mutations in the CFTR (cystic fibrosis transmembrane conductance regulator) gene leading to thick inspissated mucus and impaired mucociliary clearance and hence chronic Pseudomonas infection/colonization of the respiratory tract. Reference: Ananthanarayan and Paniker's Textbook of Microbiology Tenth edition